Null mutation is
1. Mutation occuring in Non Coding region
2. Mutation that does not change the amino acid or end product
3. Mutation that codes for a change in progeny without any chromosomal change
4. Mutation that leads to no functional gene product

Correct answer: 4. Mutation that leads to no functional gene product

Explanation: Null mutation/loss of function mutation/amorphic mutations:- These mutations are the result of gene product having less or no function. It occurs when the allele has a complete loss of function. Phenotypes associated with such mutations are most often recessive.